Technique for Ryle's tube insertion:
1. Supine with neck flexed
2. Sitting with neck flexed
3. Supine with neck extended
4. Sitting with neck extended

Correct answer: 2. Sitting with neck flexed

Explanation: Ans. B. Sitting with neck flexedFor NG tube* Ideal position is sitting with neck flexed (if conscious)* In comatose patients--Supine with neck flexedSupine with neck extended is ideal for ET intubation.